Megaloblastic anemia should be treated be with both folic acid & vitamin Bl2 because -
1. Folic acid alone causes improvement of hematologic symptoms but worsening of neurological symptoms
2. It is a Co factor
3. It is enzyme
4. None of the above

Correct answer: 1. Folic acid alone causes improvement of hematologic symptoms but worsening of neurological symptoms

Explanation: Folic acid should never be given alone to patients with vit B12 deficiency because hematological response may occur but neurological defect may worsen due to diversion of mere amount of vit B12 present in the body to hemopoiesis.

Tripathi textbook of pharmacology 7th edition pg no 610